Sartorius muscle takes origin from:
1. Pectinate line
2. Anterior superior iliac spine
3. Body of the ilium
4. Ischial tuberosity

Correct answer: 2. Anterior superior iliac spine

Explanation: Ans. B. Anterior superior iliac spinea. The sartorius muscle is the longest muscle in the human body. Its upper portion forms the lateral border of the femoral triangle.b. The sartorius muscle arises by tendinous fibers from the anterior superior iliac spine, running obliquely across the upper and anterior part of the thigh in an inferomedial direction.c. It is inserted to the medial side of the upper tibia in the pes anserinus together with the gracilis muscle and the semitendinosus muscled. The action of sartorius is to cross the legs, by flexion of the knee, and flexion and lateral rotation of the hip. It is an abductor at hip joint.